What is the sequence which a retrovirus follows on entering a host cell -
1. RNA-DNA-RNA
2. RNA-DNA
3. DNA-RNA
4. DNA-RNA-DNA

Correct answer: 1. RNA-DNA-RNA

Explanation: when virus infect a cell viral RNA is transcribed by enzyme first into ssDNA then to dsDNA REF:MICROBIOLOGY ANANTHA NARAYANAN NINTH EDITION PAGE.571